CTL inducing vaccines, Recombinant Adeno-associated Virus Vaccine (rAAV) and Modified Vaccinia Ankara (MVA) are being developed for
1. Tuberculosis
2. HIV/AIDS
3. Malaria
4. Leprosy

Correct answer: 2. HIV/AIDS

Explanation: Ever since 1987, more than 30 HIV candidate vaccines have been tested in Clinical trials Phases I/II; Some of them are:

– AIDSVAX (gp 120 based vaccine): only vaccine in Phase III trials
– Cytotoxic T-Lymphocytes (CTL) Inducing vaccine
– Recombinant adeno- associated virus (rAAV) vaccine
– Modified Vaccinia ankara (mVA) vaccine
– Subunit vaccine